Implant should be at least ____mm away from adjacent tooth
1. 1 mm
2. 1.5 mm
3. 2 mm
4. 2.5 mm

Correct answer: 2. 1.5 mm

Explanation: The mesiodistal length of available bone in an edentulous area often is limited by adjacent teeth or implants. As a general rule the implant should be at least 1.5 mm from an adjacent tooth. This dimension not only allows surgical error but also compensates for the width of an implant or tooth defect, which is usually less than 1.4 mm.